High Glycemic index is defined as value more than?
1. 55
2. 60
3. 70
4. 100

Correct answer: 3. 70

Explanation: High Glycemic index foods have values of 70 or greater and include baked potato, white bread and white rice. Low Glycemic index foods have values of 55 or lesser and include multi grain breads, pasta, legumes.